Chlamydia trachomatis infection causes the following exept -
1. Pneumonitis
2. Rhinitis
3. Conjunctivitis
4. Urethritis

Correct answer: 2. Rhinitis

Explanation: Ans. is 'b' i.e., Rhinitis